Which of the following surface glycoproteins is most often expressed in human hematopoietic stem cell?
1. CD22
2. CD4D
3. CD15
4. CD34

Correct answer: 4. CD34